A patient who was previously with good muscle mass now presents with decreased muscle mass. There is a history of RTA which led him to be bedridden for 6 months. This decrease in muscle mass is best explained by
1. Metaplasia
2. Dysplasia
3. Hypertrophy
4. Atrophy

Correct answer: 4. Atrophy